Perineal tear should be repaired :
1. 24 hrs later
2. 48 hrs later
3. 36 hrs later
4. Immediately

Correct answer: 4. Immediately

Explanation: Perineal tears should be repaired immediately following the delivery of the placenta In cases of delay beyond 24 hrs, the complete tear should be repaired after 3 months Ref: Datta Obs 9e pg 397.